In folic acid deficiency which of the following is excreted in urine -
1. Kynurenine
2. Xantheurenic acid
3. F1GLU
4. Methylmalonate

Correct answer: 3. F1GLU

Explanation: Ans. is 'c' i.e., FIGLU o Following tests are used for assessment of folate deficiency.Blood level: - Normal level in serum is about 2-20 nanogram/mlQ and about 200 micorgram/ml of packed cells.Histidine load test or FIGLU excretion testQ: - Histidine is normally metabolized to formimino glutamic acid (FIGLU) from which formimino group is removed by THF. Therefore in folate deficiency, FIGLU excretion is increased in urine.AICAR excretionQ: - In purine nucleotide synthesis the 2nd last step is the addition of C2 with the help of N10- formyl THF. This step is blocked in folate deficiency and the precursor, i.e., amino imidazole carboxamide ribosyl-5-phosphafe (AICAR) accumulates and is excreted in urine.Peripheral blood pictureQ: - Macrocytosis, tear drop cells, hypersegmented neutrophils, anisopoikilocytosis.